Leprosy treatment includes following drugs except :
1. Dapsone
2. Rifampicin
3. Penicillin
4. Clofazimine

Correct answer: 3. Penicillin